All the following drugs may cause hyperkalemia except-
1. Cyclosporine
2. Amphotericin B
3. Heparin
4. NSAIDs

Correct answer: 2. Amphotericin B

Explanation: Ans. is 'b' Amphotericin B Important drugs causing hvperkalemia o ACE inhibitors o Trimethoprim o Succinylcholine o K+ sparing diuretic o Heparin o NSAIDS o Pentamidine o Lithium. o Cyclosporine